Widal Test is:
1. Flocculation test
2. Agglutination test
3. Both
4. None

Correct answer: 2. Agglutination test

Explanation: Agglutination test